Portocaval anustomoses is seen at -
1. Esophagus
2. Stomach
3. Duodenum
4. Jejunum

Correct answer: 1. Esophagus

Explanation: Ans. is 'a' i.e., Esophagus Sites of portocaval anastomosesSitePortal veinSystemic veinLower end of esophagusLeft gastricOesophageal veins (tributaries of hemiazygous vein)UmblicusParaumbilicalAbove - Superior epigastric, lateral thoracicBelow - Superior epigastric, inferior epigastricSides - Posterior intercostal, lumbarLower end of rectumSuperior rectalMiddle and inferior rectalPosterior abdominal wallSplenicLeft renal vein and other tributaries of IVC (veins of Retzius)Bare area of liverPortal radiclesDiaphragmaticFalciform ligamentParaumblicalDiaphragmaticLigamentum venosumLeft branch of portalIVC via ductus venosusPosterior vaginal wallSuperior rectalVaginal venous plexus